Proteus antigen cross-react with?
1. Klebsiella
2. Rickettsiae
3. Chlamydiae
4. E.coli

Correct answer: 2. Rickettsiae